Which anaesthetic induction agent produces cardiac stability. In other words cardiostable anaesthetic is –
1. Ketamine
2. Propofol
3. Thiopental
4. Etomidate

Correct answer: 4. Etomidate